Mechanism of action of theophylline -
1. Mast cell stabilization
2. Phosphodiesterase inhibition
3. Leukotriene antagonist
4. b2-sympathomimetic

Correct answer: 2. Phosphodiesterase inhibition

Explanation: Ans. is 'b' i.e., Phosphodiesterase inhibition